A linear fracture that occurs on the skull called
1. Fissured fracture
2. Signature fracture
3. Comminuted fracture
4. Ring fracture

Correct answer: 1. Fissured fracture

Explanation: Fissured fracture This is a linear fracture that occurs on the skull just like a crack on the wall. The bone is fractured into two pieces. The fracture may be only on the outer table or may involve the inner table also. Fissured fracture is produced by a blow with a blunt object having a broad striking surface or head striking on a flat surface during fall. Ref: FORENSIC MEDICINE AND TOXICOLOGY Dr PC IGNATIUS THIRD EDITION PAGE 162